In a surgical patient, the causes of non surgical infection are all, except
1. Lower respiratory tract infection
2. Wound infection
3. Clostridium difficile diarrhea
4. UTI

Correct answer: 2. Wound infection

Explanation: Surgical site infections (SSIs)  are the third most frequently reported nosocomial infection, first one being pneumonia and the second,  catheter-related  (including urinary  tract infection).
SSI within 24 hours is caused by clostridia and streptococci.
SSI  after 48  hours  (5  days)  is  caused  by  gram -ve  and other  bacteria.
Clostridium diﬃcile diarrhea occurrence is due to administration of various antibiotics.

​Reference:  Manipal Manual of Surgery 4th ed page no 26, 28